Rubella virus was isolated in-
1. 1862
2. 1912
3. 1932
4. 1962

Correct answer: 4. 1962

Explanation: Rubella virus was isolated in 1962. In 1967, an attenuated vaccine was developed. Ref:PARK'S TEXTBOOK OF PREVENTIVE AND SOCIAL MEDICINE 23rd edition , Page: 150